In a normal pregnancy, maternal hCG level is maximum at gestational age of:
1. 8 to 10 weeks
2. 12 to 14 weeks
3. 16 to 18 weeks
4. after 20 weeks

Correct answer: 1. 8 to 10 weeks

Explanation: Ans. 8 to 10 weeks